Which of the following induction agent is used to produce a `street-fit' person following surgery –
1. Midazolam
2. Propofol
3. Alfentanyl
4. Thiopentone

Correct answer: 2. Propofol

Explanation: Amongst the given options only propofol & thiopentone are inducing agents.
Propofol is the inducing agent of choice for day care surgery (street-fit following surgery).